The intestinal epithelial cells exhibit a striated luminal border (brush border). All are true about the brush border microvilli except?
1. Produce the brush border appearance.
2. Increase absorptive area.
3. Play an important role in digestion.
4. Contain trypsinogen.

Correct answer: 4. Contain trypsinogen.

Explanation: The columnar epithelial cells are responsible for absorption. These cells exhibit a striated luminal border or brush border. The microvilli account for the appearance of the brush border. The microvilli greatly increase the absorption surface of the epithelial cell. The brush border contains disaccharidase in high concentrations. In addition to increasing surface area the microvilli perform an important digestive function.